Which among the following is true about Monitoring?
1. Broader concept
2. Analysis of measurement for detecting changes in health status
3. Feedback is done
4. Detects missed out cases

Correct answer: 2. Analysis of measurement for detecting changes in health status

Explanation: Monitoring is the performance and analysis of routine measurements aimed at detecting changes in the environment or health status of the population. It is a narrow concept. No action and feedback done. Ref: Park's Textbook of Preventive and Social Medicine; 24th edition - Page no. 44